If the head of the femur is dislocated postero-medially, compression of which nerve is likely to be a result?
1. Femoral
2. Lumbosacral trunk
3. Obturator
4. Sciatic

Correct answer: 4. Sciatic

Explanation: The sciatic nerve is closely related to the posterior hip joint, which makes this nerve very vulnerable in cases where the femur is dislocated postero-medially. If the sciatic nerve was completely paralyzed, the compartments innervated by its two branches: the common fibular and tibial nerves, would lose function. This would mean that the hamstrings and all the muscles of below the knee would lose their innervation. (Luckily, complete paralysis of the sciatic nerve is very rare). The hip joint is very stable, so it is difficult to dislocate the femur. Most dislocations occur when the hip is flexed and the thigh is adducted. In flexion, the joint capsule is lax, and the femoral head tends to dislocate posteriorly when forces drive the femur posteriorly. This means that the sciatic nerve will be very vulnerable when the femur is dislocated!The other nerves listed in the question are not closely related to the hip joint. The femoral nerve innervates the quadriceps and is on the anterior of the thigh. The lumbosacral trunk is located in the pelvis. The obturator nerve innervates the adductor compartment, and is on the anteromedial side of the thigh. Although the superior gluteal nerve innervates muscles near the hip socket (gluteus medius, minimus, and tensor fasciae latae), it would not be damaged by a dislocated hip.